Commonest histological finding in benign hypertension is -
1. Proliferative endarteritis
2. Necrotizing arteriolitis
3. Hyaline arteriosclerosis
4. Cystic medial necrosis

Correct answer: 3. Hyaline arteriosclerosis

Explanation: Microscopy: There are primarily diffuse vascular changes which produce parenchymal changes secondarily as a result of ischemia. vascular changes: changes in blood vessels involve arterioles and arteries up to the size of arcuate arteries.Hyaline arteriolosclerosis that results in homogeneous and eosinophilic thickening of the wall of small blood vessels. Another change is Intimal thickening due to the proliferation of smooth muscle. Parenchymal changes: As a consequence of ischemia, there is a variable degree of atrophy of parenchyma.This includes:- Glomerular shrinkage, deposition of collagen in Bowman's space, periglomerular fibrosis, tubular atrophy, and fine interstitial fibrosis. From Textbook of pathology Harsh Mohan,7th edition, pg no:679, Pathologic basis of disease Robbins South Asian edition(9)pg no:938,939